Muscle Rigidity is caused by which agent
1. Fentanyl
2. Halothane
3. Ketamine
4. Droperidol

Correct answer: 1. Fentanyl

Explanation: A i.e. Fentanyl